A bacterial disease with oral manifestations is
1. Herpes
2. measles
3. Diphtheria
4. Leishmaniasis

Correct answer: 3. Diphtheria